All of the following antifungal drugs inhibit ergosterol biosynthesis EXCEPT :
1. Ketoconazole
2. Fluconazole
3. Amphotericin B
4. None of these

Correct answer: 3. Amphotericin B